Vitamin B12 is mainly absorbed from
1. Stomach
2. Jejunum
3. Ileum
4. Colon

Correct answer: 3. Ileum

Explanation: Normally, vitamin B12 is readily absorbed in the last part of the small intestine (ileum), which leads to the large intestine. However, to be absorbed, the vitamin must combine with intrinsic factor, a protein produced in the stomach.Ref: Ganong's review of medical physiology 23rd edition Page no: 458